Vincent's angina is also known as
1. Trench mouth
2. Dry mouth
3. Foot mouth disease
4. Red mouth

Correct answer: 1. Trench mouth

Explanation: (A) Trench mouth # Acute necrotizing ulcerative gingivitis:> It is also known as "Plaut-Vincent angina", "Vincent's stomatitis", "Vincent's angina", "Vincent's infection", "acute ulcerative gingivitis" or "trench mouth."> Causes: Causative organisms include anaerobes such as Bacteroides and Fusobacterium as well as spirochetes (Borrelia and Treponema spp.).